Which of the following is not a phase of organophosphorus poisoning:
1. Acute cholinergic phase
2. Intermediate syndrome
3. OPC induced delayed polyneuropathy
4. Late onset proximal myopathy

Correct answer: 4. Late onset proximal myopathy

Explanation: Ans. Late onset proximal myopathy